Most important cause of interstitial nephritis is -
1. Drugs
2. Infection
3. Malignancy
4. Dehydration

Correct answer: 1. Drugs

Explanation: Ans. is 'a' i.e.t Drugs [Ref: Harrison 18th/e p. 23671. (285.1), 2368; 11th/ep. 1806, 18071o In initial reports, the vast majority of cases of acute interstitial nephritis results from exposure to beta-lactam antibiotics, particularly methicillin.o More recently; drugs other than antibiotics as well as infections and other underlying conditions have been recognized as clinically significant causes.The distribution of causes of acute interstitial nephritis has been reported as follows -o Drugs-75% (antibiotics responsible for l/3rd cases),o Infections-5-10%.o Tubulointerstitial nephritis and uveitis (TINU) syndrome-5-10%.o Systemic diseases including sarcoidosis,-10-15%Sjogren's syndrome, SLE and others. The most common drutis causins acute interstitial nephritis are -o NS A IDS including selective cyclooxygenase inhibitors.o Rifampicin.o Antimicrobial sulfonamide including trimethoprim sulfamethoxazole.o Diuretics including loop diuretics such as furosemide and Bumetanide and thiazide type diuretics.o Ciprofloxacin, Cimetidine, Allopurinolo Proton pump inhibitors omeprazoleo Indinaviro 5 Aminosalicylates